A 40 year old lady is diagnosed to have brain tumor in frontal lobe. The lesion is characterized by focal necrosis surrounded by ring like enhancement
1. Glioblastoma multiforme
2. Oligodendroglioma
3. Ependymoma
4. Astrocytoma

Correct answer: 1. Glioblastoma multiforme

Explanation: Ans. (a) Glioblastoma multiforme(Ref: Robbins 9th/pg 1307, Journal of Neuro-Oncology 108 (1): 11-27)When viewed with MRI, glioblastomas often appear as ringenhancing lesions. The appearance is not specific, however, as other lesions such as abscess, metastasis, tumefactive multiple sclerosis, and other entities may have a similar appearance. But necrosis with ring enhancement Is a f/o Glioblastoma multiforme.Oligodendroglioma usually shows calcifications.